Study of disease in a traveller from one part to another
1. Eugenics
2. Ergonomics
3. Emporiatrics
4. None

Correct answer: 3. Emporiatrics